Phosphorous — 32 emits:
1. Beta particles
2. Alfa particles
3. Neutrons
4. X-rays

Correct answer: 1. Beta particles